Shoulder dystocia is managed by all of the following except:-
1. Zavanelli restitution
2. Supra pubic pressure
3. Woods cork screw method
4. Fundal pressure by an able nurse

Correct answer: 4. Fundal pressure by an able nurse

Explanation: Shoulder dystocia is difficulty in delivery of the shoulder after the head is born. Management : Suprapubic pressure Mc Robert's maneuver Woods Cork Screw method Zavanelli restitution Gaskin maneuver Fundal pressure should not be given in shoulder dystocia as it may lead to further impaction of the presenting shoulder